Which of the following statements is WRONG about amiodarone?
1. It is longest acting anti-arrhythmic drug.
2. It has positive ionotropic action
3. It contains iodine
4. It causes pulmonary fibrosis.

Correct answer: 2. It has positive ionotropic action

Explanation: Amiodarone is an iodine containing highly lipophilic longest-acting(T1/2 = >3 wks) antiarrhythmic drug exerts multiple actions: Prolongs APD and Q-T interval attributable to block of myocardial delayed rectifier K+ channels. This also appears to reduce nonuniformity of refractoriness among different fibres. Na+ channel blocker b- Blocker action Ca2+ channel blocker Adverse effects: - Hypo/hyper thyroid Peripheral neuropathy Myocardial depression Pulmonary fibrosis Liver toxicity Corneal deposits Photosensitivity